True about Bone metastasis -a) 5% bone metastasis are symptomaticb) Higher serum levels of alkaline phosphatasec) Most common secondary in female is breastd) Prostate produce osteosclerotic lesion
1. abc
2. acd
3. ac
4. bcd

Correct answer: 4. bcd

Explanation: Most common tumor producing bone metastasis in females is breast carcinoma and in males is prostatic carcinoma.
Prostatic carcinoma produces osteoblastic (osteosclerotic) lesions.
Osteoblastic lesions are associated with higher serum levels of alkaline phosphatase (reflecting high activity of osteoblasts).